Sistrunk operation is preferred treatment for
1. Retrosternal goiter
2. Endemic goiter
3. Thyroglossal cyst
4. Adrenal Incidentaloma

Correct answer: 3. Thyroglossal cyst

Explanation: Thyroglossal Cyst Congenital Age of presentation - 15-30 years Location Most common location- Subhyoid C/F Midline swelling in anterior part of neck Thyroglossal cyst moves with deglutination Moves up on protrusion of tongue. Complications of Thyroglossal cyst- Infection - Abscess - if Incision and Drainage|Thyroglossal fistula (acquired condition due to I & D of abscess of thyroglossal cyst)- Increased risk of papillary carcinoma of thyroid Rx TOC - Sistrunk operation. The cyst passes body of hyoid bone - so excision is made Enbloc removal of central part or body of hyoid bone + cyst.